Which of the following is known to be severely pruritic?
1. Lichen planus
2. Psoriasis
3. Icthyosis
4. Secondary syphilis

Correct answer: 1. Lichen planus

Explanation: Purple polygonal papules marked by severe pruritus; lacy white markings, especially associated with mucous membrane lesions is feature of lichen planus. Psoriasis is variably pruritic. Icthyosis: characterised by severe dryness, fish like scales. There are 5 P in Lichen Planus:Plain, Purple, Polygonal, Pruritic, Papule/ Plague